Which of the following statements about gram positive cocci is false?
1. Staphylococcus saprophyticus causes UTI in females
2. Micrococci are oxidase positive
3. Most Enterococci are sensitive to penicillin
4. Pneumococci are capsulated

Correct answer: 3. Most Enterococci are sensitive to penicillin

Explanation: Enterococcii are frequently resistant to Penicillin. Ref: Textbook of Microbiology By Ananthanarayan, 7th Edition, Pages 200, 201, 203, 212, 217